Nowadays radium is not used in the Rx of cancer because:
1. It decays faster and needs frequent replacement
2. It decays into daughter Radon which is a constant hazard
3. It has a very long half life
4. It is a very unstable element

Correct answer: 2. It decays into daughter Radon which is a constant hazard

Explanation: Ans. It decays into daughter Radon which is a constant hazard